Lift off test is used for which of the following muscles?
1. Supraspinatus
2. Subscapularis
3. Infraspinatus
4. Biceps Breachii

Correct answer: 2. Subscapularis

Explanation: Ans. is 'b' i.e., Subscapularis TestMuscle TestedLift off testSubscapularisJobe testSupraspinatusSpeed testBicepsYergason testBicepsBelly press testSubscapularis